Which of the following feature differentiates P.vulgaris from P.Foliaceus?
1. Autoimmune disorder
2. Nikolsky sign positive
3. Fishnet appearance on DIF
4. Buccal mucosa involved

Correct answer: 4. Buccal mucosa involved

Explanation: Mucosa is involved only in P.vulgaris not in P.Foliaceous